Myocardial oxygen demand depend upon all except:
1. Preload
2. Afterload
3. Intramyocardial tension
4. Blood Hb concentration

Correct answer: 4. Blood Hb concentration

Explanation: Hb concentration determines the O2 supply to myocardium, not myocardial O2 demand.